Most effective way to prevent HIV vertical transmission is
1. HAART
2. Nevirapine
3. Zidovudine
4. Elective cesarean

Correct answer: 1. HAART

Explanation: Women enrolled on HAART (Triple ARV prophylaxis) had a much lower (1%) rate of HIV vertical transmission as compared to Zidovudine lone HAART showed similar rates of Transmission when Zidovudine monotherapy was combined with single dose of Maternal or neonatal Nevirapine Ref: Perinatal and pediatric HIV/AIDS by Mamatha 1st edition Pgno : 344